Secretomotor fiber to parotid salivary gland is supplied by?
1. Otic ganglion
2. Pterygoid ganglion
3. Submandibular ganglion
4. Hypoglossal ganglion

Correct answer: 1. Otic ganglion

Explanation: Otic ganglion REF: Gray's anatomy 39' ed p. 237 The glossopharyngeal nerve contains preganglionic parasympathetic secretomotor fibers for the parotid gland. These originate in the inferior salivatory nucleus and travel in the glossopharyngeal nerve and its tympanic branch. They traverse the tympanic plexus and lesser petrosal nerve to reach the otic ganglion where they synapse. Postganglionic fibers pass by communicating branches to the auriculotemporal nerve, which conveys them to the parotid gland. Stimulation of the lesser petrosal nerve produces vasodilator and secretomotor effects.